Mode of inheritance of ichthyosis Vulgaris is:
1. Autosomal dominant
2. Autosomal recessive
3. X-linked
4. Codominant gene

Correct answer: 1. Autosomal dominant

Explanation: Ichthyosis Vulgaris: Autosomal dominant Filaggrin synthesis is defective. At birth, skin may appear normal Skin gradually becomes dry, rough and scaly, with most signs and symptoms appearing by the age of 5 The scale is white or grey, small, flaky or branny, and semi-adherent with turned-up edges Most pronounced on the extensor surfaces of arms and lower legs Hyperlinearity of palms and soles Associated with atopic dermatitis and keratosis pilaris Improvement with warm and sunny weather Mode of inheritance Ichtyosis Vulgaris- Autosomal dominant X linked ichtyosis- X linked recessive Lamellar ichtyosis- Autosomal recessive Harlequin ichtyosis- Autosomal recessive